Osgood schlatter disease?
1. Tibial tuberosity
2. Femur head
3. Navicular
4. Calcaneum

Correct answer: 1. Tibial tuberosity

Explanation: Ans. is 'a' i.e., Tibial tuberosity